Non invasive test for H.pylori -a) Rapid urease testb) Urease breath testc) Stool antigen assayd) Stomach aspiration culturee) Biopsy
1. a
2. c
3. bc
4. ad

Correct answer: 3. bc